Which of the following technique is used to find out the important amino acid residue involved in the enzyme catalysis?
1. Electrophoresis
2. Chromatography
3. Mass spectrometry
4. Site directed mutagenesis

Correct answer: 4. Site directed mutagenesis

Explanation: Codon for specific aminoacids can be altered using site-directed mutagenesis. Site-directed mutagenesis Identification of the specific roles of given aminoacyl residues in substrate binding and catalysis. For eg : A particular aminoacyl residue functions as a general acid can be tested by replacing it with an aminoacyl residue incapable of donating a proton.